Not a Urban socio Economic status scale
1. Modified Kuppuswamy scale
2. Udai Pareek scale
3. Kulshreshtha scale
4. Jalota scale

Correct answer: 2. Udai Pareek scale